Langerhans cell histiocytosis true is all except -
1. Peak incidence less than 3 years of age
2. Radiosensitive
3. Diffuse form is known as litterer-siwe-disease
4. Gonadal involvement occurs

Correct answer: 4. Gonadal involvement occurs